Groove sign is seen in?
1. Chancroid
2. Syphilis
3. LGV
4. Psoriasis

Correct answer: 3. LGV

Explanation: Ans. (c) LGVRef: Rook's 8/e, p 34.33, Greenberg's Text-Atlas of emergency medicine by Michael I. Greenberg p. 367, Nord guide to rare diseases, p 8